A case of suspected homicide comes to a doctor. He is supposed to inform police under section of CrPC:
1. 37
2. 39
3. 174
4. 176

Correct answer: 2. 39

Explanation: Ans. b. 39 `Section 39 of CrPC gives a list of offences, the information regarding which is to be mandatorily provided to the police. That is, the doctor is duty bound to provide information about these enlisted offences (in Sec 39 CrPC) to the police.' Important Criminal Procedure Codes (CrPC) CrPC Description 39 Doctor is duty bound to provide information about enlisted offences to the policeQ 53 Examination of accused by medical practitioner at request of policeQ 53A Examination of accused of rapeQ 54 Examination of arrested person by medical officer at request of arrested personQ 61 Format of summonsQ 62 Summons how servedQ 70 Form of warrant of arrest and durationQ 174 Police inquestQ 176 Magistrates inquestQ 293 Exception to oral evidenceQ 327 Open trial-closed roomIn camera trial-rape casesQ